Interleukin secreted by Th1 cells include?
1. IL-2
2. IL-4
3. IL-10
4. IL-13

Correct answer: 1. IL-2

Explanation: Ans. (a) IL-2(Ref: Robbins 9th/198 )Cells of the TH1 subset secrete IL-2 for self activation & cytokine IFN-g, which is a potent macrophage activator.